Which is the ideal contraceptive for a couple who are IT workers in Bangalore and Hyderabad respectively and meets only occassionaly?
1. Barrier method
2. IUCD
3. OCP
4. DMPA

Correct answer: 1. Barrier method

Explanation: Barrier method is a suitable contraceptive option for those who have infrequent sexual intercourse. Since the couple are living in different cities they do not need round the clock contraception as offered by other methods. Barrier methods includes: Mechanical: Condoms, Diaphragm, Cervical cap Chemical: Cream, Jelly, Foam tablet Failure rate of: Condoms: 20HWY Vaginal contraceptive sponge is 10HWY